A testicular tumor in a man aged 60 years is ; most likely to be:
1. Germ cell tumor
2. Sertoli cell tumor
3. Teratocarcinoma
4. Lymphoma

Correct answer: 4. Lymphoma

Explanation: A testicular mass in a male > 50 yrs should be regarded as lymphoma until proven otherwise. Ref: Harrison's Internal Medicine, 18th Edition, Page 806; Bailey and Love's Short Practice of Surgery, 23rd Edition, Page 1278.